Most common cancer to cause upper GI bleeding:
1. Cancer stomach
2. Cancer esophagus
3. Cancer liver
4. Metastasis to liver

Correct answer: 1. Cancer stomach

Explanation: Ans. (a) Cancer stomachRef: Sabiston 20th Edition, Page 1142Causes of upper GI bleeding:* Tumors form only 2% of bleeding source.* Of the various tumors: Most common tumor to cause upper GI bleed is cancer stomach.